What is trench fever-
1. Q-fever
2. 5-days fever
3. Boutonneuse fever
4. Indian tick typhus

Correct answer: 2. 5-days fever

Explanation: Ans. is 'b' i.e., 5-days fever o Trench fever, also called 5-day fever or quintan fever, is caused by Bartonella quintana (Rochalimaea quintana).o Trench fever, also called 5-day fever or quintan fever, is caused by Bartonella quintana (Rochalimaea quintana).o The human body louce (Pediculus humans corporis) is the vector and humans is the only known reservoir.DiseaseAgentInsect vectorMammalian reservoir1. Typhus group a. Epidemic typhusb. Murine typhus (Endemic typhus)c. Scrub typhusR. prowazekii R. typhiR. tsutsugamushiLouseFleaMiteHumansRodentsRodents2. Spotted fever group a. Indian tick typhusb. Rocky mountain spotted feverc. Rickettsial poxR.conoriiR.rickettsiiR. akariTickTickMiteRodents, dogs Rodents, dogsMice3. Others a. Q feverb. Trench feverC.burnetiiRocholimaca quintanaNilLouseCattle, sheep, goats.Humans